What aspect of the relevant condition is tested by the lepromine test?
1. Cell mediated immunity
2. Infectivity
3. Diagnosis
4. None

Correct answer: 1. Cell mediated immunity

Explanation: Lepromine test is a test to assess the CMI of the individual it has a value is estimating the prognosis of the disease.